'Puff-balls' opacities in the vitreous are pathognomonic of
1. Pars planitis
2. Fungal endophthalmitis
3. Exudative retinopathy of Coats
4. Sympathetic ophthalmitis

Correct answer: 2. Fungal endophthalmitis

Explanation: CANDIDIASIS It is an opportunistic infection caused by Candida albicans. It occurs in immuno-compromised patients which include: patients suffering from AIDS, malignancies, those receiving long-term antibiotics, steroids or cytotoxic drugs. Patients with long-term indwelling intravenous catheter used for haemodialysis, and drug addicts are also prone to such infection. Candida endophthalmitis: is characterised by areas of severe retinal necrosis associated with vitreoretinal abscesses. Vitreous exudates present as 'puff ball' or 'cotton ball' colonies, which when joined by exudative strands form 'string of pearls'. Ref:- A K KHURANA; pg num:-159